The disadvantages of a complete ceramic crown include
1. Reduced strength of the restoration
2. Need for a shoulder-type margin circumferentially
3. Porcelain brittleness
4. All of the above

Correct answer: 4. All of the above